Treatment of choice for pneumocystis carinii pneumonia is:
1. Trimethoprim/sulfamethoxazole
2. Erythromycin
3. Ofloxacin
4. Tetracycline

Correct answer: 1. Trimethoprim/sulfamethoxazole